Froment's Sign is seen in:
1. Ulnar nerve palsy
2. Median nerve palsy
3. Musculocutaneous nerve palsy
4. Posterior Interosseous nerve palsy

Correct answer: 1. Ulnar nerve palsy

Explanation: Froment Sign: In case of ulnar nerve palsy adductor pollicis supplied by ulnar nerve is paralysed. S o, patient holds the book between thumb and palm by using flexor pollicis longus (supplied by AIN nerve) . This produces flexion at inter-phalangeal joint, while holding book.